Neurological symptoms and premature graying of hair is
associated with:
1. Folic acid deficiency
2. Pernicious anaemia
3. Plummer-Vinson syndrome
4. Paterson-Kelly syndrome

Correct answer: 2. Pernicious anaemia